The IPC Act associated with Grievous injury is -
1. 300
2. 302
3. 320
4. 420

Correct answer: 3. 320